Ganser syndrome is related to?
1. Approximate answer
2. Ataxia
3. Confusion
4. Repeated answers

Correct answer: 1. Approximate answer

Explanation: Ans. (a) Approximate answerRef: Kaplan and Sadocks Concise Textbook of clinical psychiatry 3rded p 302